Hunter's canal seen in
1. Cubital fossa
2. Popliteal fossa
3. Thigh
4. Calf

Correct answer: 3. Thigh

Explanation: ADDUCTOR/ HUNTER'S/ SUBSAORIAL CANAL - The adductor canal is an intermuscular space situated on the medial side of the middle one-third of the thigh Ref : B D Chaurasia's Human Anatomy , Seventh edition , volume 2, pg. no. 60 ( fig. no. 3.33 & 3.34 )